Desert rheumatism is caused by:
1. Cryptococcus
2. Candida
3. Coccidioides
4. Chromoblastomycosis

Correct answer: 3. Coccidioides

Explanation: Ans. C. CoccidioidesSporothrix (Sporotrochosis), Histoplasma (Histoplasmosis), Coccidioides (Desert rheumatism or Valley fever), Paracoccidioides (South American Blastomycosis), Blastomyces (North American Blastomycosis), Talaromycesmarneffei.